True about mural thrombi
1. Common in small blood vessels of heart
2. Appear as dark red in color
3. Occur in large vessels like, heart and Aorta
4. Are commonly seen in lungs

Correct answer: 3. Occur in large vessels like, heart and Aorta